Larval form in stool is found in -
1. Strongyloides
2. Ancylostoma duodenale
3. Ascaris lumbricoides
4. Necator americanus

Correct answer: 1. Strongyloides

Explanation: Demonstration of rhabdiform larvae In freshly passed faeces is the most important and specific method for diagnosis. Larvae may sometimes be present in sputum or duodenal aspirate. Concentration of larvae in faeces may be done by Baermann method which is very sensitive (refer pgno:152 baveja 3 rd edition)